Most common cause of common cold is
1. Corona virus
2. Echo virus
3. Rhino virus
4. Arbo  virus

Correct answer: 3. Rhino virus

Explanation: M/c cause of common cold is Rhino virus.